Which of the following statements is true regarding kidney tumors -a) Mutated VHL gene is associated with clear cell carcinomab) Extreme hyperdiploidy occursc) Extreme hypodiploidy occursd) Renal papillary carcinoma has defect in chromosome 8e) Oncocytoma has defect in chromosome 11
1. ac
2. bc
3. ad
4. b

Correct answer: 1. ac

Explanation: Cvtogenetics of various subtypes of Renal Cell Ca 
Clear cell carcinoma

is the most common type (70-80%)
These tumors can be
familial
associated with VHL disease or
sporadic (95%
Almost all (~98%) of clear cell carcinomas are associated with loss of sequences on short arm of chromosome 3. The lost sequences include the VHL gene.
The VHL gene acts as a tumor-suppressor gene the loss of which is associated with clear cell Ca.


Papillary carcinoma

Also occurs in both familial and sporadic forms.
The cytogenetic abnormalities associated with papillary Ca are
trisomies 7, 16 and 17 and loss of Y in male patients for sporadic form
trisomy 7 in the familial form
Familial form is associated with MET protooncogene.

Chromophobe carcinoma
-     On cytogenetic examinations, these tumors exhibit multiple chromosome losses and extreme hypoploidy.
Cytogenetics of Oncocytoma

associated with loss of chromosome 1 and Y.
Also know
Renal medullary Ca is a relatively new histologic subtype of RCC that occurs almost exclusively in association with the sickle cell trait.